False about radial nerve
1. Branch of posterior cord
2. Nerve of extensor compartment of forearm
3. Arise from C5-T1
4. Anterior interosseous nerve is branch of it

Correct answer: 4. Anterior interosseous nerve is branch of it

Explanation: The radial nerve is a branch of Posterior cord of brachial plexuses {c5,c6,c7,c8,T1} REF: BBDChaurasia 7th edition Page no: 57. Figure: 13.3 , page no: 173 textbook of anatomy upper limb, vishram Singh The radial nerve is nerve to extensor compartment of the forearm. REF: BDChaurasia 7th edition page no:138. The anterior interosseous nerve is a branch of the median nerve. REF: BD Chaurasia 7th edition page no:114.